An alcoholic patient with chronic thiamine deficiency shows CNS manifestations, and also show memory loss and confabulatory psychosis, is suffering from:
1. Wernicke's encephalopathy.
2. Wernicke- korsa koff syndrome.
3. Menke's syndrome.
4. Wilson's disease.

Correct answer: 2. Wernicke- korsa koff syndrome.

Explanation: Alcoholic patients with chronic thiamin deficiency shows CNS manifestations known as Wernicke’s encephalopathy, which consists of horizontal nystgmus, opthalmoplegia, cerebral ataxia and mental impairment.
Along with the above-mentioned symptoms, if there is loss of memory and confabulatory psychosis, it is known as Wernicke-Korsa Koff Syndrome.